Carbamoyl phosphate intermediates the synthesis of
1. Urea
2. Urea & Pyrimidine
3. Uric acid
4. Ketone body

Correct answer: 2. Urea & Pyrimidine

Explanation: (B) Urea & Pyrimidine # Biosynthesis of urea begins with the condensation of CC>2, NHs and ATP to form carbamoyl phosphate, a reaction catalyzed by carbamoyl phosphate synthase I which is a mitochondrial enzyme, and rate limiting or pacemaker enzyme and the enzyme is active only in the presence of its allosteric activator N-acetylglutamate, which enhances the affinity of synthase for ATP.